Drug of choice for substitution therapy in morphine dependence-
1. Methadone
2. Clonidine
3. Naloxone
4. Nalmefene

Correct answer: 1. Methadone

Explanation: Ans. is 'a' i.e., Methadone